Following statements are true for propofol except:
1. Painful intravenous administration
2. Induction agent
3. Contraindicated in porphyria
4. Antiemetic effect

Correct answer: 3. Contraindicated in porphyria

Explanation: Ans: C i.e. Contraindicated in porphyria Propofol Side effects of propofol include pain on injection Propofol can be used for both induction as well as maintenance Propofol is safer in porphyria Propofol possess significant antiemetic action